Lactating women with painful breast, 1st investigation to be done should be
1. USG
2. Mammography
3. CT
4. MRI

Correct answer: 1. USG